Characteristics of an ideal candidate for copper-T insertion include all of the following except :
1. Has at least one child
2. Is willing to check lUD tail
3. Has a history of ectopic pregnancy
4. Has normal menstrual periods

Correct answer: 3. Has a history of ectopic pregnancy

Explanation: Candidate ideal for IUCD insseion: Who has borne atleast one child has no history of pelvic disease has normal menstrual periods is willing to check the IUD tail has access to follow up and treatment of potential problems is in a monogamous relationship. PARK'S TEXTBOOK OF PREVENTIVE AND SOCIAL MEDICINE 23rd EDITION PAGE NO 497